Criminal nerve of Grassi:
1. Anterior branch of vagus at pylorus
2. Anterior branch of vagus at Cardia
3. Proximal branch of posterior vagus
4. Distal branch of posterior vagus

Correct answer: 3. Proximal branch of posterior vagus

Explanation: Stomach Innervation The extrinsic innervation of the stomach is both parasympathetic through the vagus and sympathetic through the celiac plexus The vagus nerve originates in the vagal nucleus in the floor of the fourth ventricle and traverses the neck in the carotid sheath to enter the mediastinum, where it divides into several branches around the esophagus. These branches coalesce above the esophageal hiatus to form the left and right vagus nerves. At the GE junction, the left vagus is anterior, and the right vagus is posterior Left Vagus Right vagus At the GE junction, left vagus is anterior Left vagus gives off the hepatic branch to the liver and then continues along the lesser curvature as the anterior nerve of Latarjet At the GE junction, right vagus is posterior Criminal nerve of Grassi is the first branch of the right or posterior vagus nerve and is recognized as a potential as a potential etiology of recurrent ulcers when left undivided Right vagus also gives a branch off to celiac plexus and then continues posteriorly along the lesser curvature Ref: Sabiston 20th edition Pgno: 1188